Kally, a 60 years old male diagnosed to have carcinoma stomach. CT scan of abdomen showed a mass measuring 4x4 cm in the antrum with involvement of celiac nodes and right gastric nodes. Management of choice
1. Total gastrectomy
2. Subtotal gastrectomy
3. Palliative
4. Chemotherapy

Correct answer: 2. Subtotal gastrectomy

Explanation: Treatment- Depends on the location of malignancy * Proximal 1/3rdExtended gastrectomy + D2 Lymphadenectomy* Middle 1/3rdTotal gastrectomy + D2 Lymphadenectomy* Distal 1/3rdSubtotal gastrectomy + D2 Lymphadenectomy This treatment is same for both Intestinal & Diffuse variety of CA Stomach- Exception - Diffuse variety involving distal 1/3rd malignancy | Total gastrectomy + D2 Lymphadenectomy. - Indication of distal Pancreatectomy* Involvement of body / tail of pancreas by the tumor -Indications of Splenectomy* Direct involvement of spleen by CA Stomach* CA Stomach in the proximal part along posterior wall or greater curvature.